Glutamine in blood acts as-
1. NH3 transporter
2. Toxic element
3. Store energy
4. Abnormal metabolite

Correct answer: 1. NH3 transporter

Explanation: Glutamine is the major form of transport of ammonia